Spontaneous absorption of lenticular material is seen in:
1. Myotonic dystrophy
2. Hallermann Streiff syndrome
3. Aniridia
4. Persistent hyperplastic primary vitreous

Correct answer: 2. Hallermann Streiff syndrome

Explanation: Occulo mandibulo dyscephaly with hypotrichosis (Hallermann-Streiff syndrome): Hypoplasia of mandible with bird-like facies. Clinical findings include, microphakia, microcornea, glaucoma, and cataract (can develop within 1st few weeks of life); spontaneous rupture of lens capsule with absorption of lens proteins can occur; immune response to lens proteins resembles phacoanaphylactic uveitis. Ref: Review of Ophthalmology By William B. Trattler, M.D., Peter K. Kaiser, M.D., Neil J. Friedman, M.D., 2012, Page 108.